Phase 3 clinical trial is also called as
1. Human pharmacology
2. Post marketing surveillance
3. Therapeutic exploration
4. Therapeutic confirmation

Correct answer: 4. Therapeutic confirmation

Explanation: Phase 3 trial-done on 1000s of patients in various centers- multicentric, double-blinded after completion of phase 3, new drug will be released into the market Reference: Katzung's Pharmacology; 13th edition; Chapter 5; Development & Regulation of Drugs